Adenosine deaminase deficiency is seen in the following -
1. Common variable immunodeficiency
2. Severe combined immunodeficiency
3. Chronic granulomatous disease
4. Nezelof syndrome

Correct answer: 2. Severe combined immunodeficiency

Explanation: Severe combined immunodeficiencies include syndrome with severe deficiency of both humoral and cell mediated response. Adenosine deaminase deficiency is a distinct pattern of SCID. - ADA catalyses the conversion of adenosine to inosine in the purine metabolic pathway. This condition is associated with chondrocyte abnormalities. Reference : Anathanarayan & paniker's 9th edition, pg no:174,175